Drug not given for malaria prophylaxis is :
1. Chloroquine
2. Proguanil
3. Doxycycline
4. Artesunate

Correct answer: 4. Artesunate